Definition of Blindness when visual acuity is less than ___________ in better eye according to NPCB and WHO respectively
1. < 3/60 and < 6/18
2. < 6/18 and < 3/60
3. < 3/60 and < 3/60
4. < 6/18 and < 6/18

Correct answer: 3. < 3/60 and < 3/60